Vitamin k is required for post translational modification of
1. oxidation
2. carboxylation
3. methylation
4. Hydroxylation

Correct answer: 2. carboxylation

Explanation: The role of vitamin K is in the post-translational modification i.e, gcarboxylation of glutamic acid residues in proteins such as : Coagulation factors : Factor II, VII, IX, X Protein C and S Osteocalcin Nephrocalcin Reference: Harpers illustrated biochemistry 30th edition